Which of the following is not core histone protein
1. H1
2. H2A
3. H2B
4. H3

Correct answer: 1. H1

Explanation: H1 is linker protein.
Core histoner are H2A, H2B, H3, H4.